Material causing minimum tissue distortion is:
1. Polysulphide
2. Silicone
3. Impression plaster
4. Zinc oxide eugenol paste

Correct answer: 3. Impression plaster

Explanation: Impression plaster is a β-calcium sulfate hemihydrate used at a water/powder ratio of approximately 0.5 to 0.6. Its fluidity makes it suitable for making impressions of soft tissues in the uncompressed state, a characteristic of mucostatic impression material.
Ref: Phillip’s Science of Dental Materials ed 12 pg 177